Discharge from Baroreceptors cause inhibition of
1. Caudal ventrolateral medulla
2. Rostral ventrolateral medulla
3. Nucleus of tractus solitarius
4. Nucleus ambiguus

Correct answer: 2. Rostral ventrolateral medulla

Explanation: Baroreceptor stimulation results in the activation of two mechanisms.
1.    Stimulation of cardiovagal inhibitory centre - Nucleus ambiguous- Leads to Bradycardia.
2.    Inhibition of vasomotor centre - Rostral ventrolateral medulla- Leads to decreased BP.